Wheel shaped virus is
1. Tobacco mosaic virus
2. Adeno virus
3. Rota virus
4. Rabies virus

Correct answer: 3. Rota virus

Explanation: Wheel shaped - Rota virus
Rod shaped - TMV
Bullet shaped - Rabies
Brick shaped - POX